Overt symptoms of Renal failure become evident when Renal Function Deteriorates by more than
1. 40-50%
2. 50-60%
3. 70-80%
4. >90%

Correct answer: 3. 70-80%

Explanation: Answer is C (70-80%) Overt symptoms usually develop only after renal function has deteriorated by >75 - 80% (residual renal function <20%).